Bag and mask ventilation in newborn resuscitation is contraindicated in –
1. Diapharagmatic herina
2. Pulmonary hypoplasia
3. Tracheo – oesophageal fistula
4. Laryngomalacia

Correct answer: 1. Diapharagmatic herina